Which of the following complications is likely to result after several units of blood have been transfered?
1. Metabolic acidosis
2. Metabolic alkalosis
3. Respiratory alkalosis
4. Respiratory acidosis

Correct answer: 2. Metabolic alkalosis

Explanation: Massive transfusion is defined as the need to transfere one to two times the patients normal blood volume or >50% of blood volume wihtin 3 hours.
In a normal adult, this is equivalent 10-20 units
Most common abnormality is metabolic alkalosis.
It results from the conversion of citrate (present in stored blood) and lactate (accumulated due to hypoperfusion) to bicarbonate.